Histological variety of breast carcinoma with the best prognosis is
1. Medullary
2. Lobular
3. Colloid
4. Tubular

Correct answer: 4. Tubular

Explanation: Special-type breast cancer and accounts for 2% of all invasive breast cancers. Distant metastases are rare in tubular carcinoma with long-term survival approaches 100%.